On 7th post-operative day, abdominal wound shows pink serosanguinous discharge. It suggests:
1. Impending wound dehiscence
2. Infection in the abdomen
3. Stitch abscess
4. Healing wound

Correct answer: 1. Impending wound dehiscence

Explanation: Wound dehiscence Evisceration Disruption of one / all the layers either partially or completely Extrusion of abdominal viscera apart from disruption Can occur at any time usually after 6-8th day of wound closure 1st sign - serious or serosanguinous discharge Mx: | Only wound dehiscence | Prompt elective closure Wound dehiscence + Evisceration | Cover with moist gauze | Under GA | Rinse exposed bowel along with Omentum with RL + antibiotics | Reclose the abdomen by tension suturing